Which is best material for RPD impression
1. Impression plaster
2. Irreversible hydrocolloid
3. Reversible hydrocolloid
4. None of the above

Correct answer: 2. Irreversible hydrocolloid